Which among the following is iron chelator:
1. EDTA
2. Desferrioxamine
3. BAL
4. Penicillamine

Correct answer: 2. Desferrioxamine

Explanation: Uses EDTA- Manganese, Iron, Lead, Cadmium (MILK) Desferrioxamine - Iron BAL- Bismuth, Arsenic, Lead Penicillamine - Copper poisoning